Multiple myeloma has been seen commonly after exposure to
1. Radioactive isotopes
2. Gold
3. Asbestos
4. Organic dyes

Correct answer: 1. Radioactive isotopes